All of the following statements regarding idiopathic edema are true, EXCEPT:
1. It is due to estrogen mediated sodium retention
2. It is not related to menstrual cycle
3. It is associated with an increased water retention in upright position
4. In some cases ACEI is useful

Correct answer: 1. It is due to estrogen mediated sodium retention

Explanation: Idiopathic edema is an ill-defined syndrome characterized by intermittent pitting edema secondary to Na and water retention. There is only very little evidence to prove that sodium retension is occuring under the influence of estrogen. Patients present with swelling of legs, hand, rarely face along with abdominal bloating. It occurs almost exclusively in women and is much worse with prolonged standing. Cyclic idiopathic edema is associated with conditions such as lipedemia, chronic venous insufficiency and lympheodema. Ref: Diseases of The Kidney and Urinary Tract By Robert W. Schrier, 8th Edition, Pages 2151-2158 ; Lymphedema Management: The Comprehensive Guide for Practitioners By Joachim Zuther, 2nd Edition, Page 104